Which is not seen in iron deficiency anaemia -
1. Hyper-segmented neutrophils
2. Hypochromia precedes microcytosis
3. MCHC<50%
4. Commonest cause of anaemia in India

Correct answer: 1. Hyper-segmented neutrophils

Explanation: The mature neutrophils showing hypersegmentation of their nuclei with cells having six or more nuclear lobes ,is a characteristic finding in megaloblastic anaemia .

Reference :Davidson's principles & practice of medicine 22nd edition pg no1024